Custom is defined as
1. Established pattern of behaviour
2. Prescribed order of cremony
3. Ban to a particular society
4. None

Correct answer: 1. Established pattern of behaviour

Explanation: CUSTOMS The mere existence of a society, the mere plurality of individuals gives rise to customs from which no single member of the community can escape. The 'highly developed' societies of the modern world are just as replete with social customs as the 'primitive societies' of the past. These customs are quite numerous and quite as powerful. Customs are technically divided into "folkways" and 'mores'. The folkways are the right ways of doing things in what is regarded as the less vital areas of human conduct. The tnore stringent customs are called "mores". The public takes an active part in their enforcement. Laws are generally customs-inspired. The starting point of all customs isconvention. Convention is the practice promoted by convenience of the society or the individual. Ref : Park 25th edition Pgno : 715